Follicular stimulating hormone receptors are present on:
1. Theca cells
2. Granulose cells
3. Leydig cells
4. Basement membrane of ovarian follicle

Correct answer: 2. Granulose cells

Explanation: B i.e. Granulosa Cell